Culture media used for leptospira
1. MYPA agar
2. BYCE agar
3. EMJH Medium
4. Skirrow's medium

Correct answer: 3. EMJH Medium

Explanation: Culture media for leptospira is EMJH media, Korthof's, Stuart's and fletcher's media.